Punched out inner table and crater like outer table in the skull means --------------
1. Chop wound
2. Pond fracture
3. Entrance wound
4. Exit wound

Correct answer: 4. Exit wound

Explanation: GUNSHOT WOUNDS ON SKULL:- Skull has outer table & inner table. When the bullet enters the skull, bevelling occurs in the second layer. In entry wound the beveling is present in inner table of skull. In exit wound the beveling is present in the outer table of skull . Entry wound:- shows a punched out hole (clean cut) on the outer table and bevelled (crater) appearance on the inner table.Exit wound:-the inner table shows clean cut hole and the outer table shows beveling since the bullet is leaving so the outer table is raised.